A lesion in the paracentral lobule causes:
1. Contralateral foot weakness
2. Memory impairment
3. Brocas aphasia
4. Cognitive loss

Correct answer: 1. Contralateral foot weakness

Explanation: Answer is A (Contralateral foot weakness): The paracentral lobule is located on the medial frontal lobe and is involved in anterior cerebral artery occlusion. The involvement of paracentral lobule leads to contralateral lower limb (foot) weakness and urinary incontinence.